Coomb's +ve Hemolytic Anaemia is seen in except :
1. Alcoholic cirrhosis
2. Chronic active hepatitis
3. Primary biliary cirrhosis
4. Primary sclerosing cholangitis

Correct answer: 1. Alcoholic cirrhosis

Explanation: Answer is A (Alcoholic cirrhosis) Coomb's positive hemolytic anemia may be seen in autoimmune conditions. All options other than alcoholic cirrhosis may have autoimmune etiologies and hence, may very well have coomb's positive haemolytic anemia as a .feature. Anemias which occur due to autoimmune destruction of RBCs are called autoimmune hemolytic anemia. The autoimmune destruction of RBC's is caused by the presence of autoantibodies against R.B.C. Coomb's test is used to detect the presence of these autoantibodies. So autoinimune hemolytic anemias are also known as coomb's positive hemolytic anemias.